% of children with simple febrile seizures developing epilepsy is-
1. 1-2%
2. 2-5%
3. 5-10%
4. 10-20%

Correct answer: 1. 1-2%

Explanation: Ans. is 'a' i.e., 1-2% o Children with febrile seizures have an increased risk of developing epilepsy. o Between 2% to 7% of all children with febrile seizures develop epilepsy if followed upto the age of 25 years. Risk depends on type of febrile seizure :- i) Simple febrile seizures --) 2% of all children with simple febrile seizures. ii) Complex febrile seizures --) 6-8% of all children with complex febrile seizures. o Three major risk factors increase the risk of epilepsy :? i) Complex febrile seizures. ii) Pre-existing neurodevelopmental abnormality. iii) Epilepsy in first degree relatives.